The dosage of Vitamin A in keratomalacia in a 2 year old boy who is 12 kg weight is
1. Vitamin A :2 lakh IU, oral, 1st, 2nd and 14th day
2. Vitamin A :2 lakh IU, oral , 1st, 2nd and 3rd day
3. Vitamin A :1 lakh IU, oral, 1st, 2nd and 14th day
4. Vitamin A :1 lakh IU, oral, 1st, 2nd and 3rd day

Correct answer: 1. Vitamin A :2 lakh IU, oral, 1st, 2nd and 14th day

Explanation: Xerophthalmia:- * Spectrum of ocular disease ranging from night blindness to corneal melting caused by vitamin A deficiency. Who Classification of Xerophthalmia: - XN:- Night blindness X1A:- Conjunctival xerosis X1B:- Bitot's spots X2:- Corneal xerosis X3A:- Corneal ulceration- keratomalacia involving one- third/ less of the cornea X3B:- Corneal ulceration- keratomalacia involving one - half/ more of the cornea XS:- Corneal scar XF:- Xerophthalmic fundus Treatment: - * MEDICAL EMERGENCY especially in malnourished infants. Vitamin A Dosage: - * 2 LAKH I.U - ORALLY OR 1 LAKH I.U - I.M 3 doses are given = DAY 1, DAY 2 & With in 1-4 WEEKS * Children between 6-11 months: half the dose * Children < 6 months : quarter the dose. Ref:- Parson's Diseases of the eye 22nd edition; pg num:- 218